End tracheostomy is done in patients undergoing surgery for:
1. Laryngectomy
2. Laryngofissure surgery
3. Oropharyngeal tumor
4. Obstructive sleep apnea with stridor

Correct answer: 1. Laryngectomy

Explanation: (Refer: PL Dhingra, Textbook of Ear, Nose, Throat, 6th edition, pg no: 316)
Types of tracheostomy

Emergency tracheostomy
Elective tracheostomy
Permanent tracheostomy
Percutaneous dilatational tracheostomy
Mini tracheostomy

Indications of tracheostomy